Preventive and interceptive orthodontics is no longer viable after eruption of:
1. Permanent second molars
2. Primary second molars
3. Permanent first molar
4. Permanent lateral incisors

Correct answer: 1. Permanent second molars